Dialectical behavior therapy is used in the management of
1. Narcissistic PD
2. Borderline PD
3. Anti Social PD
4. Anankastic PD

Correct answer: 2. Borderline PD

Explanation: Dialectical behavior therapy, Transference based therapy, Mentalization therapy are used in the management of Borderline personality disorder.